Dorset egg medium is used for cultivation of
1. Staphylococcus
2. Streptococcus
3. Gonococcus
4. M TB

Correct answer: 4. M TB

Explanation: Media which are used for the cultivation of Mycobacterium tuberculosis are LJ media which is most common media used in which growth is seen in 6 to 8 weeks and the colonies are Rough, Buff and tough. The other media used car door fitting media Petragnini media, Saula media, Dubois media or Middlebrook's media. Note-Extra edge M . tuberculosis M. bovis Rough , buff and tough colonies on LJ media Flat , moist and smooth colonies on LJ media Aerobic Microaerophile Shows glycerol and niacin enhancement No such enhancement